Enophthalmos caused by fracture of-
1. Floor of orbit
2. Medial wall of orbit
3. Lateral wall of orbit
4. Roof of orbit

Correct answer: 1. Floor of orbit

Explanation: *Post traumatic enophthalmos is caused by blow out fracture trough the floor of orbit. Ref: Khurana 7th/e p.424